Sandifer syndrome due to GERD in infants is confused with ?
1. Seizures
2. Recurrent vomiting
3. Acute otitis media
4. Sinusitis

Correct answer: 1. Seizures

Explanation: Sandifer syndrome

Sandifer syndrome manifests with brief (about 1-3 min) NEPEs (Non Epileptic Paralytic Event) of dystonic posturing associated with gastro-esophageal reflux; hiatal hernia is common.
The attacks of torticollis with arching of the back and rigid ophisthotonic posturing, mainly involving the neck, back and upper extremities.
During the attack, the infant may become very quiet, or less commonly, very restless or uncomfortable.
It is most commonly confused with seizures. However, NEPEs of Sndifer's syndrome occur within 1 hour after feeding, often following and imposed change of posture, and the babies frequently have a history of vomiting, failure to thrive and repeated chest infections.
The EEG is normal, barium esophagogram or pH probe may demonstrate reflux.